Drug of choice for attention deficit hyperactivity disorder is:-
1. Haloperidol
2. Imipramine
3. Alprazolam
4. Methylphenidate

Correct answer: 4. Methylphenidate

Explanation: Methylphenidate is the preferred drug for the treatment of attention deficit hyperkinetic disorder (ADHD). Other drugs used for this indication are amphetamines, atomoxetine and pemoline. Pemoline has been withdrawn due to life threatening hepatotoxicity.